TNM staging of breast carcinoma with positive bilateral supraclavicular lymph nodes is?
1. N3a
2. N3b
3. N3c
4. M1

Correct answer: 4. M1

Explanation: Answer- D. M1